Chlamydia escapes killing by?
1. Inhibit phagolysosome fusion
2. Causes cell membrane perforation
3. Produces factors that camouflage it
4. Molecular mimicry

Correct answer: 1. Inhibit phagolysosome fusion

Explanation: Ans:A.)Inhibit phagolysosome fusion